The triad of diabetes, gallstones and steatorrhoea is associated with which one of the following tumours?
1. Gastrinomas
2. Somatostationomas
3. VIPomas
4. Glucagonomas

Correct answer: 2. Somatostationomas